Which of the following First Trimester Obstetrical Sign is FALSE?
1. Chadwick's sign is regular rhythmic uterine contraction seen as early as 4-6 week of pregnancy
2. Goodel's sign is soft cervix seen as earlier as 6 weeks
3. Osiander's sign is pulsation in lateral vaginal fornix seen as early as 8 weeks
4. Hegar's sign is a reliable sign seen as early as 6-10 weeks

Correct answer: 1. Chadwick's sign is regular rhythmic uterine contraction seen as early as 4-6 week of pregnancy

Explanation: (A) Chadwick's sign is regular rhythmic uterine contraction seen as early as 4-6 week of pregnancy FIRSTTRIMESTER (First 12 weeks) OBSTETRICAL SIGNSEponym signSiteTime of PregnancyDescriptionJacquemier's or Chadwick's signVestibule & anterior vaginal wall8th weekDusky hue discoloration (due to local vascular congestion)Osiander's signVagina8th weekIncreased pulsation felt through lateral fornicesGoodell's signPiskacek's signCervixUterus6th week6th week (size of hen's egg)Pregnant cervix feels like the lips of the mouth& shows bluish discoloration (due to increased vascularity). 8th week (size of a cricket ball)12th week (size of a fetal head) Hegar's signUterus6-10 weeksUpper part of body of uterus is enlarged by growing fetus & lower part of body is empty & firm cervixPalmer's signUterus4-8 weeksRegular & rhythmic uterine contraction elicited on manual examination